If a person is asked, "what will he do if he sees a house on fire"?, Then what is being tested in that person ?
1. Social judgement
2. Test judgement
3. Response judgement
4. None of the above

Correct answer: 2. Test judgement

Explanation: AnS. B. Test judgementJudgementIt is the ability to assess a situation correctly and act appropriately within that situation'Social judgement: is observed during the hospital stay and during the interview session. It includes evaluation of personal judgement.Test Judgement: is assessed by asking the patient what he would do in certain test situations like - house on fire, man lying on road.It is rated as good/ intact normal or poor/ impaired/abnormal'